The amino acids producing ammonia in kidney is
1. Methionine
2. Glycine
3. Glutamine
4. Alanine

Correct answer: 3. Glutamine

Explanation: Transportation of Ammonia : Inside the cells of almost all tissues , tge transamination of aminoacids produce glutamic acid . However, glutamate dehydrogenase is available is available only in liver . In kidney the ammonia is formed to Glutamine by the enzyme Glutamine synthetase. Ref : DM.VASUDEVAN.TEXTBOOK SEVENTH EDITION ; PAGE NO : 203